Ruedi and Allgower classification for
1. Radius fracture
2. Fibular fracture
3. Proximal Tibial fracture
4. Distal tibial fracture

Correct answer: 4. Distal tibial fracture